Syndesmophytes are seen in -
1. AS
2. RA
3. OA
4. All

Correct answer: 1. AS

Explanation: Syndesmophytes 

Syndesmophytes are thin, slender vertical radiodense spicules bridging the vertebral bodies, giving the spine `bamboo' appearance. They are actually ossification of outer fibres of annulus fibrosus.

Syndesmophytes are seen in :

Ankylosing spondylitis
Psoriatic arthritis
Reiter's disease
Arthritis associated with Inflammatory bowel disease